Auramine and rhodamine staining are used for :
1. Nocordia.
2. Spirochaetes.
3. Rapid diagnosis of TB
4. All of the above.

Correct answer: 3. Rapid diagnosis of TB